Which of the following anti-cancer drug is not anti-inflammatory or immunosuppressive
1. Methotrexate
2. Azathioprine
3. L-Asparginase
4. Cyclopohosphamide

Correct answer: 3. L-Asparginase

Explanation: Ans. is .c' i.e., L-AsparaginaseThree anticancer drugs have bone-marrow sparing effect, i.e., they do not cause bone marrow suppression: - Vincristine, BleomYcin & L-asParaginase.